Muscle relaxant of choice in a patient with serum bilirubin of 6 mg/dl and serum creatinine of 4.5 mg/dl is:
1. Vecuronium
2. Atracurium
3. Pancuronium
4. Mivacurium

Correct answer: 2. Atracurium

Explanation: Ans. (B) Atracurium(Ref: KDT 8th/e p380)Atracurium is eliminated by Hoffman's elimination. It means it neither require liver for metabolism, nor kidney for excretion. Its molecules spontaneously rearrange to make it inactive. Thus it is safest muscle relaxant in a patient with liver and kidney disease.